Commonest injury in blunt abdominal trauma
1. Kidney
2. Liver
3. Bladder
4. Spleen

Correct answer: 4. Spleen

Explanation: Splenic injury can be a subcapsular hematoma, laceration or hilar injury. It can be associated with other organ injuries It can cause torrential hemorrhage and shock. It is the most common organ injured in blunt injury abdomen (Ref; SRB,s Manual of Surgery,5th edition, pg no. 149)